Rough surface on casting occurs due to
1. Investment breakdown.
2. Air bubbles on wax.
3. Weak surface of investment.
4. All of the above.

Correct answer: 4. All of the above.